Kerley lines are seen in – a) Pleural effusionb) Mitral stenosisc) Pericardial effusiond) Interstitial edemae) Lymphangitis carcinomatosis
1. bde
2. ade
3. ace
4. bce

Correct answer: 1. bde

Explanation: Mitral stenosis, interstitial edema due to pulmonary hypertension and lymphangitis carcinomatosis can cause Kerley `B' lines.